Cutting and grinding procedures are predominantly:
1. Two directional
2. Unidirectional
3. Three directional
4. Multidirectional

Correct answer: 2. Unidirectional